Which one of the following is the treatment of choice in a child with inguinal hernia
1. Bassini's repair
2. Shouldice repair
3. Herniotomy alone
4. Lichtenstein reapir

Correct answer: 3. Herniotomy alone